Which of the following is true about seminoma?a) It is radiosensitiveb) It arises only from cryptorchid testisc) AFP is increasedd) It is chemosensitive
1. b
2. c
3. ad
4. ab

Correct answer: 3. ad

Explanation: Seminomas are both radiosensitive & chemosensitive tumors.